Linaclotide is a
1. Chloride channel activator
2. CFTR blocker
3. Somatostatin antagonist
4. Guanylate cyclase agonist

Correct answer: 4. Guanylate cyclase agonist

Explanation: Linaclotide is a Guanylate cyclase - C agonist that increases levels of cGMP and stimulates secretion of chloride & bicarbonate ions into the intestinal lumen. It is used in treatment of IBS with constipation.